Vector for transmission of sleeping sickness ?
1. Sandfly
2. Black fly
3. Tse-tse fly
4. Hard tick

Correct answer: 3. Tse-tse fly

Explanation: Ans. is 'c' i.e., Tse-tse fly